The preganglionic parasympathetic fibres for otic ganglion commence at:
1. Superior salivatory nucleus
2. Inferior salivatory nucleus
3. Nucleus of tractus solitarius
4. Lacrimatory nucleus

Correct answer: 2. Inferior salivatory nucleus